Apneusis occur when ?
1. Lesion is above pons
2. Lesion is midpontine with intact vagus
3. Lesion is midpontine with damaged vagus
4. Lesion is at pontomedullary junction

Correct answer: 3. Lesion is midpontine with damaged vagus

Explanation: Ans. is 'c' i.e., Lesion is midpontine with damaged vagus